Not affected by Wernicke's disease
1. Hypothalamus
2. Thalamus
3. Hippocampus
4. Mamillary bodies

Correct answer: 3. Hippocampus

Explanation: In Wernicke's disease, neuropathologically, neuronal degeneration and haemorrhage are seen in thalamus, hypothalamus, mammillary bodies and midbrain. Ref: A Short Textbook of Psychiatry, Niraj Ahuja, 7th Edition, pg. no.38